Not true about apoptosis -
1. Increase in lysosomal enzyme
2. Increase in caspases
3. Phosphatidyl serine has important role
4. Intemucleosomal cleavage of nucleus

Correct answer: 1. Increase in lysosomal enzyme

Explanation: Ans. is 'a' i.e., Increase in lysosomal enzymeApoptosiso Caspases are central to the pathogenesis of apoptosis.# The lysis in apoptosis is caused due to action of caspase.o Mitochondrias are the most important organelles involved in initiation and regulation of apoptosis.# Hallmark of apoptosis is permeability of the mitochondrial membrane.o formally phosphatidyl serine is located on the inner cytosolic surface of plasma membrane# In apoptotic cell this phosphatidyl serine is translocated to the outer (extracellular) surface of plasma membrane.o Lysosome and other organelles remain intact.